Which of the following is not a feature of cluster headache ?
1. Headache is predominantly unilateral
2. Affects predominantly females
3. Onset typically occur in 20-50 years of life
4. Associated with conjunctival congestion

Correct answer: 2. Affects predominantly females

Explanation: Cluster headache occur three times more common in men than in women. Cluster headache is likely a disorder involving central pacemaker neurons in the region of the posterior hypothalamus. It is associated with symptoms such as conjunctival injection or lacrimation, rhinorrhea or nasal congestion, or cranial sympathetic dysfunction such as ptosis. These defects occur due to parasympathetic activation which occur as a result of injury to ascending sympathetic fibers surrounding a dilated carotid artery as it passes into the cranial cavity. Ref: Harrison's Internal Medicine, 18th Edition, Chapter 14